Coccobacillus grown in BCYE medium is
1. Legionella
2. Streptobacillus
3. Gardenella
4. Neisseria

Correct answer: 1. Legionella

Explanation: Legionella pneumophila:General characteristicsCultural characteristics*Gram negative pleomorphic rods*Motile , non-capsulated*Growth requirements - Cysteine and Iron*No man to man transmission*No animal reservoirs*Legionella- widely distributed in natural water sources (hot springs and stagnant water)*It survive and multiply inside free-living amoeba and other protozoa*Inhalation of aerosols- cooling towers, air conditioners and shower heads*Buffered Charcoal Yeast Extract (BCYE) medium with L-cysteine and antibiotic supplements with 5% CO2 at pH 6.9Clinical features*Atypical pneumonia*Legionnaire's disease- may be either epidemic or sporadicOIncubation period- 2- 10 daysOFever, nonproductive cough and dyspnea, rapidly progresses to pneumonia if untreatedODiarrhea and encephalopathy are common*Pontiac fever- milder, non-fatal, influenza like illness with fever, chills, myalgia and headacheDiagnosisTreatment*Specimen - Sputum, bronchial aspirate, transtracheal aspirate, lung biopsy.*ELISA or IFT *Macroloides, ciprofloxacin and tetracyclines(Ref: Ananthanarayan 9th edition, 401-402)